Lambert Eaton syndrome is associated with -
1. Thymoma
2. Oat cell syndrome
3. Myasthenia gravis
4. Adenocarcinoma of lung

Correct answer: 2. Oat cell syndrome